The rectus sheath contains all of the following except-
1. Pyramidalis muscle
2. Genitofemoral nerve
3. Inferior epigastric vessels
4. Superior epigastric vessels

Correct answer: 2. Genitofemoral nerve

Explanation: Rectus sheath content.
-        Rectus abdominis, Pyramidalis
-        Superior and inferior epigastric artery.
-        Superior and inferior epigastric veins.
-        Lower 5 intercostal and subcostal nerves.